All of the following conditions are associated with elevated levels of serum angiotensin converting enzyme except:
1. Berylliosis
2. Silicosis
3. Sarcoidosis
4. Bronchogenic carcinoma

Correct answer: 4. Bronchogenic carcinoma

Explanation: Angiotensin converting enzyme is a dipeptidyl carboxypeptidase that converts angiotensin I to the vasopressor angiotensin II. It is normally present in the kidneys and other peripheral tissues. In granulomatous disease such as silicosis, sarcoidosis and berylliosis angiotensin converting enzyme is derived from epithelioid cells within the granulomas, so its level is elevated in these diseases. Bronchogenic carcinoma is not associated with increased ACE levels. Ref: Pocket Guide to Diagnostic Tests, 5th Edition